Which radiological feature would help differentiate rheumatoid arthritis with SLE?
1. Erosion
2. Juxta-articular osteoporosis
3. Subluxation of MCP joint
4. Swelling of PIP joint

Correct answer: 1. Erosion

Explanation: Answer is A (Erosion): SLE is characterized by non erosive arthritis while bone erosions are characteristic in Rheumatoid Arthritis.